Normal heart axis is:
1. -90 to + 90deg
2. -90 to + 180deg
3. -30 to +90deg
4. -90 to 180deg

Correct answer: 3. -30 to +90deg

Explanation: Answer is C (-30 to +90deg)